The following statement is true about internal rotation of the head?
1. Rotation occurs mostly in the cervix
2. In majority, rotation occurs in the pelvic floor
3. Rotation occurs commonly during crowning of the head
4. Rotation is easier in primiparae than multiparae

Correct answer: 2. In majority, rotation occurs in the pelvic floor

Explanation: The level at which internal rotation occurs is variable. Rotation in the cervix although favorable is a less frequent occurrence. In a majority of cases, rotation occurs in the pelvic floor. Rarely it occurs as late as during crowning of the head.D.C.DUTTA'S TEXTBOOK OF GYNECOLOGY, Pg no:125,7th edition